Young adult normotensive patient with painless gross hematuria, most likely diagnosis -
1. Minimal change disease
2. IgA nephropathy
3. Cresentic GN
4. Membrano proliferative

Correct answer: 2. IgA nephropathy